Renin is released when:
1. Low phosphate
2. Low sodium
3. High phosphate
4. High sodium

Correct answer: 2. Low sodium

Explanation: Ans. B. Low sodiumRENIN is an enzyme that is produced and stored in the granules of the juxtaglomerular cells surrounding the afferent arterioles of glomeruli in the kidney. Following stimuli increase its secretion:* Sodium depletion* Diuretics* Hypotension* Hemorrhage* Upright posture* Dehydration* Constriction of renal artery or aorta* Cardiac failure* CirrhosisRenin is a glycoprotein synthesized as a preprohormone.